Placenta has :
1. 1 artery + 2 veins
2. 2 arteries + 1 vein
3. 2 arteries + 2 veins
4. 3 arteries + 3 veins

Correct answer: 2. 2 arteries + 1 vein

Explanation: 2 arteries + 1 vein